Pegvaliase was approved by FDA in 2018 for
1. Phenylketonuria
2. Pancreatic tumours
3. Crohn's disease
4. Glycogen storage disorders

Correct answer: 1. Phenylketonuria

Explanation: Pegvaliase is a drug approved for the treatment of phenylketonuria. Chemically, it is a pegylated derivative of the enzyme phenylalanine ammonia-lyase that metabolizes phenylalanine to reduce its blood levels.